The most common retrobulbar orbital mass in adults –
1. Nerurofibroma
2. Meningioma
3. Cavernous haemangioma
4. Schwannoma

Correct answer: 3. Cavernous haemangioma

Explanation: Most common orbital tumor (retrobulbar mass) in adult is benign vascular tumors like cavernous hemangioma.